A cell cycle specific anticancer drug that acts mainly in the M phase of the cycle is:
1. Cisplatin
2. Etoposide
3. Methotrexate
4. Paclitaxel

Correct answer: 4. Paclitaxel

Explanation: Vinca alkaloids (Vincristine, Vinblastine and Vinorelbine) and taxanes (Paclitaxel and Docetaxel) act on M-phase of the cell cycle.
Vinca alkaloids inhibit the formation whereas taxanes inhibit the breakdown of the mitotic spindles.